Auditory aids include
1. Sound films
2. Slide-tape
3. Amplifiers
4. Models

Correct answer: 3. Amplifiers

Explanation: Audio-visual aidsNo health education can be effective without audiovisual aidsAuditory aids:Radio, tape-recorder, microphones, amplifiers, earphonesVisual aids:Not requiring projection: Chalkboard, leaflets, posters, charts, flannelgraph, exhibits, models, specimens etcRequiring projection: Slides, film stripsCombined A-V aids:Television; sound films, Slide tape combinationRef: Park; 23rd ed; Pg 863